D-Dimer is the most sensitive test for
1. DVT
2. Pulmonary Embolism
3. Acute Pulmonary adema
4. Acute myocardial infarction

Correct answer: 2. Pulmonary Embolism

Explanation: Answer is B (Pulmonary Embolism): D-Dimer test is a sensitive test for detection of DVT and PE. Amongst DVT and PE, the D-Dimer test is less sensitive for DVT than PE * (More sensitive for PE) The sensitivity of the D-Dimer assay is greater than 80% for DVT and greater than 95% for PE. The D-Dimer test is less sensitive for DVT than PE because the DVT thrombus size is smaller-Harrison 17th/1653